During physical examination of a patient with history of TIA, it is found that the ankle jerk reflex is absent. Which of the following nerves is responsible for the reflex arc?,
1. Common fibular (peroneal)
2. Superficial fibular (peroneal)
3. Deep fibular (peroneal)
4. Tibial

Correct answer: 4. Tibial

Explanation: The ankle jerk reflex, elicited by tapping the tendo Achilles with the reflex hammer, is mediated by Tibial nerve. The superficial fibular (peroneal) nerve supplies the foot evertor muscles of the lateral compartment of the leg and provides sensory supply for the dorsum of the foot. The deep fibular (peroneal) nerve innervates the foot extensor and invertor muscles in the anterior compartment of the leg and supplies skin between the first and second toes. The common fibular (peroneal) nerve combines the functions of the superficial and deep branches.